A young adult male presented with sudden painless loss of vision. He recovered spontaneously within 3 months Most likely cause of his blindness is –
1. Central serous retinopathy
2. Macular hole
3. Myopic crescent
4. Vitreous haemorrhage

Correct answer: 1. Central serous retinopathy

Explanation: Sudden painless loss of vision with full recovery within 4-12 weeks in a young male is characteristic of central serous retinopathy.